From which of the following is the duodenum derived
1. Foregut
2. Midgut
3. Foregut and midgut
4. Midgut and hindgut

Correct answer: 3. Foregut and midgut

Explanation: The duodenum is a 25-38 cm C-shaped structure lying adjacent to the stomach. It is divided anatomically into four sections. The first part of the duodenum lies within the peritoneum but its other parts are retroperitoneal image ref - brittanica.com